Treatment of 'Thimble bladder' is -a) Anti-tubercular treatment b) Corticosteroidsc) ileocystoplastyd) Anti-tubercular drugs + steroids
1. a
2. bc
3. ac
4. b

Correct answer: 3. ac